CSF rhinorrhoea is diagnosed by which of the following?
1. Beta 2 microglobulin
2. Beta 2 transferrin
3. Thyroglobulin
4. Transthyretin

Correct answer: 2. Beta 2 transferrin

Explanation: Beta 2 transferrin is a protein seen in CSF and not in nasal discharge. Its presence is a sensitive and specific test for CSF. Another protein is beta-trace protein is also specific for CSF. (Ref: PL Dhingra, 7th edition of Diseases of Ear, Nose and Throat, pg no.184)